Which is not a branch of cavernous part of internal carotid artery?
1. Cavernous branch
2. Inferior hypophyseal
3. Meningeal artery
4. Ophthalmic artery

Correct answer: 4. Ophthalmic artery